True about carotid body tumour is
1. Arises from Schwann cell
2. Causes hypertension
3. Arises from endothelial cell
4. None of the above

Correct answer: 4. None of the above